Pneumothorax is not a usual occurance with which of the following conditions?
1. Asthma
2. Marfan's syndrome
3. Bronchopulmonary aspergillosis
4. Positive pressure ventilation

Correct answer: 3. Bronchopulmonary aspergillosis

Explanation: The most common of secondary spontaneous pneumothorax is chronic obstructive pulmonary disease, which accounts for approximately 70% of cases. Other causes include diseases of the airways (chronic obstructive pulmonary disease, acute severe asthma, cystic fibrosis), infections of the lung (Pneumocystis pneumonia (PCP), tuberculosis, necrotizing pneumonia), interstitial lung disease (Sarcoidosis, idiopathic pulmonary fibrosis, histiocytosis X), connective tissue diseases (Rheumatoid arthritis, ankylosing spondylitis, polymyositis and dermatomyositis, systemic sclerosis, Marfan's syndrome and Ehlers-Danlos syndrome) and Ca bronchus.